10-year old male with poor growth, poor appetite, recurrent chest infection and steatorrhea is likely to have ____________ .
1. High sodium and chloride levels in the sweat
2. Diabates mellitus
3. Recurrent skin allergy
4. Mental retardiation

Correct answer: 1. High sodium and chloride levels in the sweat

Explanation: Cystic fibrosis features : GIT:chronic diarrhoes,steatorrhoea,pain abdomen,malabsorption,constipation,meconium ileus hepato biliary:fatty liver,jaundice,portal hypertension,hepatic failure,gall stones pancreatic:recurrent pancreatitis,dysfunction nutritional defeciency:vit defeciency,micronutient defeciency,failure to thrive recurrent and persistant pneumonia Analysis for sweat chlorides is a reliable diagnostic test.level of chlorides above 60 mEq/lis suggestive of cystic fibrosis Reference: GHAI Essential pediatrics, 8th edition